A person having the habit of repeated self inflicted injuries, what is the type of personality -
1. Borderline personality disorder
2. Schizoid personality disorder
3. Histrionic personality disorder
4. Narcissistic personality disorder

Correct answer: 1. Borderline personality disorder